Autophagy is performed by:
1. Lysosomes
2. Mitochondria
3. Proteins
4. All

Correct answer: 1. Lysosomes

Explanation: Autophagy is a protective mechanism during starvation It is performed by lysosomes by digesting mitochondria etc Ref:Guyton and Hall textbook of medical physiology 12th edition,page number:12,13,16